Most common complication of coeliac plexus block -
1. Hypotension
2. Parasthesias
3. Diarrhea
4. Pneumothorax

Correct answer: 1. Hypotension

Explanation: Ans. is 'a' i.e., Hypotension Celiac plexus blocko The celiac plexus is situated retroperitoneally in the upper abdomen. It is at the level of T12 and L1 vertebrae anterior to the crura of the diaphragm. It contains visceral afferent and efferent fibers divided from T5 to T12. by means of greater, lesser and least splanchnic nerves. Celiac plexus innervates most of the abdominal viscera, therefore this procedure blocks the nerves which come from the pancreas, liver, gall bladder, stomach, intestine, spleen, kidney and adrenal glands.o A celiac plexus block can be combined with an intercostal block to provide anesthesia for intra-abdominal surgery.o Because celiac plexus block results in blockade of the autonomic nervous system, this block may help to reduce stress and endocrine responses to surgery. For the same reason, the most common complication of celiac plexns block is postural hypotenstion because of blockade of lumbar sympathetic chain leading to upper abdominal vessel dilation and venous pooling.o Celiac plexus block can be done by following three approaches : - Retrocrural (classic) approach, anterocrural approach and splanchnic nerve block.o Celiac plexus block is given to treat intractable pain in chronic pancreatitis, gastric & pancreatic malignancies. It can be combined with an intercostal block to provide anesthesia for intra-abdomiual surgery.o Postural hypotension is the Most common complication of classic retrocrural and splanchnic nerve block. Where as most common complication of Anterocrural approach is transient diarrhoea.